Which of the following is rapidly acting insulin?
1. Lente
2. Glargine
3. Ultralente
4. Lispro

Correct answer: 4. Lispro

Explanation: Ans. D. LisproLispro and as part is rapid acting, regular insulin is short acting, Lente is intermediate acting and Ultra Lente, glargine is longer acting.